Limbic system is also known as
1. Small brain
2. Smell brain
3. Hind brain
4. Mid brain

Correct answer: 2. Smell brain

Explanation: Ans: b (Smell brain) Ref: Ganong 22ml ed/p.256-258.Limbic system was formerly called rhinocephalon (smell brain) because of its relation to olfaction and it is phylogenetically the oldest pail of cerebral cortex (allocortex).It consists of:-* Cingulate gyms* Septal nuclei* Hippocampal formation - hippocampus and dentate nucleus* AmygdalaPapez circuits link limbic system to hypothalamus and thalamus and is concerned with expressive side of emotions. It consists of Fornix from hippocampusa mamillary body of hypothalamus a anterior nucleus of thalamus a cingulate gyrusa hippocampus.Papez circuit has sensory and expressive side of emotions.Sensory:-* Cognition- awareness of the sensation and its cause* Affect-development of feeling* Conation - desire to take actionExpressive:-* Autonomic* Somatic